False about nerve entrapment syndromes
1. Guyon's canal syndrome - ulnar nerve
2. Cubital tunnel syndrome - ulnar nerve
3. Cheiralgia paresthetica - femoral nerve
4. Tarsal tunnel syndrome - posterior tibial nerve

Correct answer: 3. Cheiralgia paresthetica - femoral nerve

Explanation: Nerve entrapment syndromes 

Carpal tunnel syndrome - Median nerve 
Cubital tunnel syndrome - Ulnar nerve
Guyon's canal syndrome - Ulnar nerve 
Pyriformis syndrome - Sciatic nerve 
Meralgia Paresthetica - Lateral cutaneous nerve of thigh 
Cheiralgia Paresthetic - Superficial Radial nerve
Tarsal tunnel syndrome - Posterior tibial nerve